Quadrilateral cartilage is attached to all except -
1. Ethmoid
2. Vomer
3. Sphenoid
4. Maxilla

Correct answer: 3. Sphenoid

Explanation: Qudrilateral (septal) cartilage is one of the principal constituent of nasal septum.
It is attached to nasal bones, ethmoid bone, vomer, and maxilla.